Reflex tachycardia is most likely to occur after the systemic administration of
1. albuterol
2. methoxamine
3. phenylephrine
4. propranolol

Correct answer: 1. albuterol

Explanation: Although used primarily via inhalation for asthma, systemic effects of albuterol include vasodilation due to its b2 receptor activation. This can result in a decrease in PVR and mean BP, which elicits a reflex tachycardia. Methoxamine and phenylephrine are a- receptor activators causing vasoconstriction, which would result in reflex bradycardia. Ganglion blockers (trimethaphan) prevent autonomic reflexes, and a reflex increase in heart rate could not occur in the presence of a beta blocker (propranolol).